Methotrexate is what class of anti cancer drug -
1. Alkylating agents
2. Antimetabolites
3. Microtubule damaging agents
4. Topoisomerase inhibitors

Correct answer: 2. Antimetabolites

Explanation: Ans. is 'b' i.e., Antimetabolites o Alkylating agents* Nitrogen mustards -Mechlorethamine, cyclophosphamide, Ifosfamide, chlorambucil, Melphalan.* Ethylenimine -Thio - TEPA* Alkyl sulfonate -Busulfan* Nitrosoureas -Carmustine, Lomustine* Triazine -Dacarbazine, Procarbazine* Others -Altretamine, cisplatin, carboplatin, oxaliplatin.o Antimetabolites* Folate antagonist- Methotrexate, Pemetrexed.* Purine antagonist-6 - Mercaptopurine, 6-Thioguanine, Azathioprine, Fludarabine.* Pyrimidine antagonist-5 - Fluorouracil, cytarabine (cytosine - arabinaside).o Vinca alkaloids - Vincristin (oncovin), vinblastin, vinorelbineo Taxanes -Paclitaxel, Docetaxelo Epipodophyllotoxin -Etoposideo Camptothecin analogue-Topotecan, Irinotecano Antibiotics-Actinomycin D (Dactinomycin), Doxorubicin, Daunorobicin (Rubidomycin), Mitoxantrone, Bleomycin, Mitomycin C.o Miscellaneous-L-Asparginase.